All of the following comes under primary prevention EXCEPT
1. Pap smear
2. Helmets
3. Contraception
4. Vaccines

Correct answer: 1. Pap smear

Explanation: Ans. (a) Pap smearRef : K. Park 23rd ed. / 41, 385* PRIMARY PREVENTION is the action taken prior to the onset of disease which removes the possibilities of disease occurrence.* Modes of intervention :# Health promotion# Specific protection* It is applicable for "risk factors are present but disease has not yet taken place"* Pap smear is a screening test, which comes under secondary level of prevention.